Difference between antimortem and postmortem burns all except -
1. Vesicle with hyperemic base
2. Pus
3. Air in the bleb
4. High protein content

Correct answer: 3. Air in the bleb

Explanation: REF: The Synopsis of Forensic Medicine and Toxicology 29th edition page no: 164. TRAIT ANTEMORTEM BURNS POSTMORTEM BURNS LINE OF REDNESS Present Absent BLISTERS Contain serous fluid with proteins and chlorides. Base is inflamed Contain air and thin fluid only VITAL REACTION Marked cellular exudation and reactive changes in the tissue cells present Absent ENZYMES Peripheral zone of burns shows an increase in an enzymatic reaction The peripheral zone does not show an increase in an enzymatic reaction